All are corneal signs of trachoma except-
1. Herbert follicles
2. pannus
3. Opacity
4. Arlt's line

Correct answer: 4. Arlt's line

Explanation: 1. Superficial keratitis may be present in the upper part. 2. Herbert follicles refer to typical follicles present in the limbal area. 3. Pannus i.e., infiltration of the cornea associated with vascularization is seen in upper part 4. Corneal ulcer may sometime develop at the advancing edge of pannus. 5. Herbert pits are the oval or circular pitted scars, left after healing of Herbert follicles in the limbal area 6. Corneal opacity may be present in the upper part Ref: A K KHURANA COMPREHENSIVE OPHTALMOLOGY,E4,page-65 ref img